Enterovirus causes all, except:
1. Hemorrhagic fever
2. Hand-foot-mouth disease
3. Herpangina
4. Aseptic meningitis

Correct answer: 1. Hemorrhagic fever

Explanation: Option 1, 2, 3, 4 Diseases caused by Enterovirus: Enterovirus 68: Pneumonia Enterovirus 70: Acute hemorrhagic conjunctivitis. Enterovirus 71: Pulmonary edema, herpangina, aseptic meningitis, and hand-foot-and-mouth disease. Enterovirus 70, 71: Paralysis and encephalitis.